Chalazion of lid is:
1. Caseous necrosis
2. Chronic nonspecific inflammation
3. Chronic lipogranulomatous inflammation
4. Liposarcoma

Correct answer: 3. Chronic lipogranulomatous inflammation

Explanation: Chronic lipogranulomatous inflammation